Shortest acting muscle relaxant -
1. Pancuronium
2. Atracurium
3. Mivacurium
4. Vecuronium

Correct answer: 3. Mivacurium

Explanation: Ans. is 'c' i.e., Mivacurium Mivacuriumo Mivacurium is the shortest acting competitive blockers.o It does not need reversal - can be used as an alternative to SCh for endotracheal intubation.o It is metabolized rapidly by plasma cholinesterases - prolonged paralysis can occur in pseudocholinesterase deficiency.o Mivacurium is the only nondepolarising (competitive) blocker that is metabolized by plasma cholinesterase (pseudocholinesteres).